The first step for lymphatic vessels to remove excess fluid from interstial tissue spaces is by
1. Generating a lower intravascular than tissue hydrostatic pressure
2. Contracting and forcing lymph into larger lymphatics
3. Opening and closing one-way valves in the lymph vessels
4. Lowering the colloid osmotic pressure inside the lymph vessel

Correct answer: 1. Generating a lower intravascular than tissue hydrostatic pressure

Explanation: Although all of the choices are events that happen in lymph vessels, the first key event is lowering the lymphatic hydrostatic pressure to enable tissue fluid to enter the lymphatic vessel.